Which of the following is not a pox virus -
1. Cow pox
2. Molluscum contagiosum
3. Small pox
4. Chicken pox

Correct answer: 4. Chicken pox

Explanation: Chickenpox caused by varicella come under Herpesviruses. Other 3 come under poxviruses. REF:ANATHANARAYAN AND PANIKER'S TEXTBOOK OF MICROBIOLOGY 9TH EDITION PAGE NO:471 and 461